G6 phosphatase deficiency seen in:
1. Von Gierke's disease
2. Taysach's disease
3. Pompe's disease
4. Anderson's disease

Correct answer: 1. Von Gierke's disease

Explanation: A i.e. Von gierke's disease